Sickle cell anemia leads to resistance towards?
1. P. falciparum
2. P. ovale
3. P. malariae
4. P. vivax

Correct answer: 1. P. falciparum

Explanation: ANSWER: (A) P. falciparumREF: Harrisons 17th ed chapter 213, Essentials of clinical immunology by Helen Chapel, Mansel Haeney, Siraj Misbah 5th edition Page 48'Although sickle cell anemia kills homozygous individuals in early life, this disadvantage is balanced by the resistance that the trait affords heterozygous individuals to Plasmodiiim falciparum because sickled RBC is less hospitable to the parasite"'Note: Absence of RBC Duffy antigen confers resistance to P. Vivax